Which of the following is true about myoglobin?
1. Myoglobin binds to 4 moles of O2 per mole
2. Myoglobin - dissociation curve has parabolic profile
3. Myoglobin - has a high O2 affinity compared to that of hemoglobin
4. Myoglobin - dissociation curve shows bohr effect.

Correct answer: 3. Myoglobin - has a high O2 affinity compared to that of hemoglobin

Explanation: Features of O2 - MYOGLOBIN DISSOCIATION CURVE 1. Myoglobin dissociation curve has a rectangular hyperbola 2. 1 mole of myoglobin binds to 1 mole of O2 Myoglobin has higher affinity for O2 compared to Hb. (left shift of myoglobin - O2 curve compared to O2 - Hb curve) Because myoglobin is the store of O2, it has rectangular hyperbola curve as it holds O2 for long time.